Example of active transport ?
1. Movement of water across cell membrane
2. Movement of oxygen across cell membrane
3. Cotransport of amino-acids with Na+
4. None of the above

Correct answer: 3. Cotransport of amino-acids with Na+

Explanation: Ans. is 'c' i.e., Cotransport of amino-acids with Na+